Down syndrome, All are seen except -
1. t(14:21)
2. Trisomy
3. t(11:14)
4. t(15:21)

Correct answer: 3. t(11:14)

Explanation: Ans. is 'c' i.e., t (11:14) [Ref: Nelson 17th/e Chapter 18o In 95% of cases of Down syndrome-trisomy of 21.o Extra chromosome is of maternal in origin,o 1 % have mosaic with some all have 46 chromosome,o 4% have robertsonian translocation.t(13:21)t(14:21)t(15:21)o Very rarely long arm of chromosome 21 is triplicate (Partial trisomy).